Cardiac msucle functions as both electrical and mechanical syncytium. The structual basis of this ability is
1. T tubule system
2. Intercalated disks
3. Striated nature of the contractile system
4. Extensive sarcoplasmic reticulum

Correct answer: 2. Intercalated disks